Nephrotoxicity is seen with:
1. Azathioprine
2. Leflunomide
3. Mycophenolate mofetil
4. Tacrolimus

Correct answer: 4. Tacrolimus

Explanation: Tacrolimus